Investigation of choice for diagnosis of spleenic rupture
1. Peritoneal lavage
2. Ultrasound
3. CT scan
4. MRI

Correct answer: 3. CT scan

Explanation: C i.e. CT Scan